The earliest manifestation of increased intracranial pressure following head injury is
1. Ipsilateral pupillary dilatation
2. Contralateral pupillary dilation
3. Altered mental status
4. Hemiparesis

Correct answer: 3. Altered mental status

Explanation: • Early signs of elevated ICP includes drowsiness and a diminished level of consciousness.
• Coma and unilateral papillary changes are late signs and require immediate intervention.